Naltrexone is used in opioid dependene to
1. Prevent respiratory depression
2. Treat withdrawal symptoms
3. Prevent relapse
4. Treatment of opioid overdose

Correct answer: 3. Prevent relapse

Explanation: Prevent relapse Naltrexone is a pure opioid antagonist It is a competitive antagonist at all opioid receptors. It can be used orally, to assist in the rehabilitation of ex-opioid abusers who are fully withdrawn (otherwise it will induce an acute withdraw! syndrome). A patient who then takes an opioid, fails to experience the kick or euphoria because of the opioid antagonistic actions of the Naltrexone.